Hepcidin associated with which molecule-
1. Iron
2. Copper
3. Selenium
4. Flurine

Correct answer: 1. Iron

Explanation: Ans. is 'a' i.e., IronMucosal Block Theory* Iron absorption along the basolateral side of intestine is regulated strictly by hepcidin.* Hepcidin is a plasma protein that is synthesized by liver* It inhibits basolateral side transport of iron along enterocytes.* This is mucosal block theory* In conditions of iron demand, liver reduces the synthesis and release of hepcidin and basolateral side transport of iron occurs.# Hepcidin is a positive acute phase reactant. Hence during inflammation liver releases more hepcidin. This inhibits basolateral side transport of iron along intestine. This results in a hematological picture which mimics iron deficiency anemia. This is the basis of Anemia of Chronic Disease.* The basolateral side transport of iron is through Ferroportin. It is also supported by hephaestin.* Once iron gets into circulation, it is converted into ferric form and is attached to apotransferrin forming transferrin. The conversion of ferrous to ferric form is supported by ceruloplasmin, a ferrioxidase.